Human stem cells express:
1. CD14
2. CD8
3. CD34
4. CD10

Correct answer: 3. CD34

Explanation: Human stem cells express C-kit, C-mpl and usually cluster of differentiation determinant — 34 (CD34).